All are complications of atherosclerosis except?
1. Ulceration
2. Thrombosis
3. Embolism
4. Necrosis

Correct answer: 4. Necrosis

Explanation: Ans. (d) NecrosisRef: Robbin's pathology 9th ed. /512-15Complications of Atherosclerosis and their ImportanceAneurysm formationAortic aneurysm> 5.5 cm can ruptureCalcificationDystrophic calcificationUlcerationIncreases thrombus formationThrombosisOcclusion of coronary arteriesEmbolismErosion of plaque